7.Rhinoscleromatis is caused by:
1. Klebsiella
2. Autoimmune
3. Spirochetes
4. Rhinosporidium

Correct answer: 1. Klebsiella

Explanation: . Rhinoscleroma is caused by a Gram-negative cocco-bacillus Klebsiella rhinoscleromatis. The diseases passes through three stages--catarrhal, granulomatous and cicatricial. It causes woody infiltration of the upper lip. Other areas involved are larynx (subglottic region) and trachea leading to airway obstruction. Mikulicz cells and Russell bodies are characteristically seen on histology. Ref: Dhingra 7e pg 175.